All the following statements regarding adenosine are true except:
1. Dipyridamole potentiates its action
2. Used to produce controlled hypotension
3. Administered by slow I.V. injection
4. Administered by rapid I.V. injection

Correct answer: 3. Administered by slow I.V. injection